Causes of conjugated hyperbilirubinemia is –
1. Rotor syndrome
2. Breast millcjaundice
3. Crigler najjar
4. Gilbert syndrome

Correct answer: 1. Rotor syndrome